Root canal sealer ADA specification :
1. 12
2. 20
3. 47
4. 57

Correct answer: 4. 57